Rapid, diffuse, excessive hair loss after 3 months of pregnancy is due to?
1. Androgenic alopecia
2. Telogen effluvium
3. Anagen effluvium
4. Alopecia areata

Correct answer: 2. Telogen effluvium

Explanation: ANSWER: (B) Telogen effluviumREF: Harrison's 17th edition table 54.5Telogen effluviumDiffuse shedding of normal hairs following either major stress (high fever, severe infection) or change in hormones (post-partum)Stress causes the normally asynchronous growth cycles of individual hairs to become synchronous; therefore, large numbers of growing (anagen) hairs simultaneously enter the dying (telogen) phase Observation; discontinue any drugs that have alopecia as a side effect; must exclude underlying metabolic causes, e.g., hypothyroidism, hyperthyroidismEtiologyFever of any cause, prolonged , high , recurrentChild birthAbortion and cessation of OCPOperations and blood lossPsychiatric disturbance or acute mental illnessCrash dieting or nutritional def.Hypothyroidism , hyperthyroidismTreatmentAnticoagulants, antihypertensive, lithium or oral retinoid.Reversible without treatment